Ferrous sulfate is hydrated salt containing______ % Iron.
1. 20
2. 25
3. 30
4. 35

Correct answer: 1. 20

Explanation: Ans. a (20%) (Ref. KDT, Pharmacology, 6th ed., 584)Oral Iron preparationsIron contentFerous sulfate Hydrated salt20%Dried salt32-35%Ferous gluconate12%Ferous fumarate, succinate33%Colloidal ferric hydroxide50%Iron-calcium complex5%Vital points about IRON THERAPY# Some iron preprations come with other compounds designed to enhance iron absorption, such as ascorbic acid.# Typically, for iron replacement therapy, up to 300 mg of elemental iron per day is given, usually as three or four iron tablets (each containing 50-65 mg elemental iron) given over the course of the day.# Ideally, oral iron preparations should be taken on an empty stomach, since foods may inhibit iron absorption.# A dose of 200-300 mg of elemental iron per day should result in the absorption of iron up to 50 mg/d.# Goal of therapy in individuals with IDA is not only to repair anemia, but to provide stores of at least 0.5-1.0 g of iron.# Sustained treatment for a period of 6-12 months after correction of the anemia will be necessary to achieve this.# Of the complications of oral iron therapy, GI distress is the most prominent and is seen in 15-20% of patients.# Typically, reticulocyte count should begin to increase within 4-7 dys after initiation of therapy and peak at IV2 weeks.# The amount of iron needed by an individual patient is calculated by the following formula:Body weight (kg) x 2.3 x (15 - patient's hemaglobin, g/dL) + 500 or 100 mg (for stores).Also Know:Iron therapy:Dosage-200 mg elemental iron per dayRise of Hb-0.5-1 g% per week1st sign of response-| Appetite, i fatigue within 12-24 hrs; Reticulocytosis 3-4th DayIndication of Blood transfusion-Hb < 7 g% or CCFDuration of iron tablets-At least 100 days after correction of HbHb target in various diseases:Thalassemia & Hemolytic anemia-~ 9-10 g%Malignancies-- 10-11 g%CRT-11-12 g%